Acinic cell carcinomas of the salivary gland arise most often in the
1. Parotid salivary gland
2. Minor salivary glands
3. Submandibular salivary gland
4. Sublingual salivary gland

Correct answer: 1. Parotid salivary gland

Explanation: Acinic cell tumors or carcinomas arise most commonly in parotid gland followed by submandibular gland. Acinic cell carcinomas are rare tumors composed of cells resembling the normal serous acinar cells of salivary glands. Minor glands are rarely involved as they have only few serous cells. Acinic cell tumors, like Warthin tumors can be bilateral and multicentric.